In acute pancreatitis all are seen EXCEPT
1. Raised amylase
2. Hypercalcemia
3. Hypocalcemia
4. Increased serum lipase

Correct answer: 2. Hypercalcemia

Explanation: Hypercalcemia REF: Schwartz's Principles of Surgery 9'1' edition chapter 33. Pancreas "Hypercalcemia is a cause of acute pancreatitis and hypocalcaemia is seen in acute pancreatitis" Because pancreatic acinar cells synthesize, store, and secrete a large number of digestive enzymes (e.g., amylase, lipase, trypsinogen, and elastase), the levels of these enzymes are elevated in the serum of most pancreatitis patients. Serum amylase concentration increases almost immediately with the onset of disease and peaks within several hours. It remains elevated for 3 to 5 days before returning to normal. There is no significant correlation between the magnitude of serum amylase elevation and severity of pancreatitis Complications of Acute Pancreatitis I. Local Pancreatic phlegmon Pancreatic abscess Pancreatic pseudocys Pancreatic ascites Involvement of adjacent organs, with hemorrhage, thrombosis, bowel infarction, obstructive jaundice, fistula formation, or mechanical obstruction II. Systemic A. Pulmonary Pneumonia, atelectasis Acute respiratory distress syndrome Pleural effusion B. Cardiovascular Hypotension Hypovolemia Sudden death Nonspecific ST-T wave changes Pericardial effusion C. Hematologic Hemoconcentration Disseminated intravascular coagulopathy D. GI hemorrhage Peptic ulcer Erosive gastritis Portal vein or splenic vein thrombosis with varices E. Renal Oliguria Azotemia Renal artery/vein thrombosis F. Metabolic Hyperglycemia Hypocalcemia Hypertriglyceridemia Encephalopathy Sudden blindness (Purtscher's retinopathy) G. Central nervous system Psychosis Fat emboli Alcohol withdrawal syndrome H.Fat necrosis Intra-abdominal saponification Subcutaneous tissue necrosis Etiologies of Acute Pancreatitis Alcohol Biliary tract disease Hyperlipidemia Hereditary Hypercalcemia Trauma (External, Surgical) Endoscopic retrograde cholangiopancreatography Ischemia Hypoperfusion Atheroembolic Vasculitis Pancreatic duct obstruction Neoplasms Pancreas divisum Ampullary and duodenal lesions Infections Venom Drugs Idiopathic